Enlarging dot sign in fundus fluorescein scanning is seen in:
1. Cystoid macular edema
2. Central serous retinopathy
3. Significant macular edema
4. Coat's disease

Correct answer: 2. Central serous retinopathy

Explanation: B i.e. Central serous retinopathy